After rupture of middle meningeal artery bleeding occurs in which region
1. Subdural bleed
2. Extradural bleed
3. Intracerebral bleed
4. Subarachnoid bleed

Correct answer: 2. Extradural bleed

Explanation: In EDH bleeding is arterial, commonly its due to middle meningeal artery.
In EDH lucid interval is seen.